Familial amyloidotic polyneuropathy is due to amyloidosis of nerves caused by deposition of :
1. Amyloid associated protein
2. Mutant Calcitonin.
3. Mutant transthyretin
4. Normal transthyretin

Correct answer: 3. Mutant transthyretin

Explanation: . Mutant transthyretin